KLB is another name for
1. Corynebacterium diphtheria
2. Corynebacterium pseudodiphtheriae
3. Corynebacterium tetani
4. Anthrax

Correct answer: 1. Corynebacterium diphtheria

Explanation: Diphtheria bacilli were first observed and described by Klebs in 1883 and first cultivated by Loeffler in 1884 - hence called Klebs- Loeffler's bacilli or KLB. Reference: Textbook of Microbiology; Anathanarayan and panicker's; 10th edition; Page no: 239